Father has a blood group B : Mother has AB : Children are not likely to have the following blood group -
1. 0
2. A
3. B
4. AB

Correct answer: 1. 0

Explanation: Ans. is 'a' i.e., Blood group 0'A' antigen, 'B' allel gives Type 'EV antigen, and 0 allel gives type '0' antigen.o Both A and B are dominant over '0'.o So, person with AA antigen & AO antigen will have 'A' blood group, person with BB antigen & BO antigen will have`Er blood group, and only 00 people have type '0' blood.o When both A and B antigen are present then the case is different -o A and B antigen show codominance when present together. So, an individual with AB allel will have phenotype of both A and B --> AB blood group.